Which of the following structures is not at immediate risk of erosion by cholesteatoma -
1. Long process of incus
2. Fallopian canal containing facial nerve
3. Horizontal/lateral semicircular canal
4. Base plate of stapes

Correct answer: 4. Base plate of stapes

Explanation: Ans. is 'd' i.e., Base plate of stapes o Cholesteatoma has the property to destroy the bone by virtue of the enzymes released by it.o Structures immediately at the risk of erosion are: -Long process of incus.Fallopian canal containing facial nerve.Horizontal / lateral semicircular canal